Keshan cardiomegaly occur due to deficiency of:-
1. Selenium
2. Copper
3. Zinc
4. Iron

Correct answer: 1. Selenium

Explanation: - Selenium deficiency cause Keshan disease also known as Endemic cardiomyopathy. - There is also involvement of coxsackie virus Other deficiency leads to - Vit A - Xeropthalmia - Vit B1 - Beri - Beri; Wernickes Korsakoff psychosis - Vit B3 - Pellagra - Vit B5 - Burning feet syndrome - Vit B6 - Microcytic neuritis; Peripheral Anemia - B9 - Megalablastic Anemia, Neural tube effect - B12 - Megaloblastic Anemia, Pernicious Anemia, Peripheral Neuritis, Subacute combined degeneration of spinal cord.